Goose skin or cutis anserina seen in -
1. Drowning
2. Lightening
3. Strangulation
4. Fire arm injury

Correct answer: 1. Drowning

Explanation: Cutis anserina (goose skin) is seen in drowning, especially on exposure to cold water.
It is not a diagnostic sign of drowning and this sign is rarely seen in India, water being usually warm.